Sudden infant death syndrome (SIDS) following administration of honey is due to:
1. Staphylococcus aureus
2. Yersinia enterocolitica
3. E. coli
4. Clostridium botulinum

Correct answer: 4. Clostridium botulinum

Explanation: Ans. Clostridium botulinum